The OHI-S index developed by Greene and Vermillion is
used to measure
1. Dental caries
2. Gingivitis
3. Oral debris and calculus
4. Periodontal disease

Correct answer: 3. Oral debris and calculus